PI P2 is cleaved into IP3 and DAG by -
1. Protein kinase'C'
2. Phospholipase
3. cAMP
4. Caspases

Correct answer: 2. Phospholipase

Explanation: Ans. is 'b' i.e., Phospholipase o Activation of phospholipase (by stimulatory G protein) hydrolyses the membrane phospholipid phosphatidyl inositol 4, 5 bisphosphate (PIP2) to generate the second messenger inositol 1, 4, 5 - triphosphate (IP3) and diacylglycerol (DAG).o IP3 mobilizes Ca+2 from intracellular organelles - increased cytosolic Ca+2.o DAG enhances Protein Kinase 'c' activation by Ca+2.o Ca+2 acts as third messenger in this type of transduce mechanism and mediates the physiological effects of drugs.